The least common type of intussuception is -
1. Multiple
2. Colocolic
3. Ileoileal
4. Ileoilecolic

Correct answer: 1. Multiple

Explanation: Types of intussusceptions in decreasing order

Ileocolic (~77%)
Ileo-ileo-colic (~12)
Ileoileal (~5%)
Colocolic (~2%)
Multiple (1%)
Retrograde